Trigonocephaly is due to premature closure of which suture?
1. Sagittal suture
2. Metopic suture
3. Lambdoid suture
4. Coronal suture

Correct answer: 2. Metopic suture

Explanation: Ans. is 'b' i.e., Metopic suture * Craniosynostosis - skull deformity that is direct result of premature suture fusion. Most craniosynostosis are evident at birth.CraniosynostosisPremature closure ofFeaturesScaphocephalySagittal suture* Long and narrow skull* Most common form of craniosynostosis.* Prominent occiput, broad forehead, small or absent anterior fontanel.* Not produce increased ICP & neurological examination is normal.Frontal plagiocephalyCoronal and sphenofrontal suture* Unilateral flattening of the forehead, elevation of ipsilateral orbit and eyebrow, and a prominent ear on the corresponding side.Occipital plagiocephalyLambdoid suture* Occipital flattening* Bulging of ipsilateral frontal bone.TrigonocephalyMetopic suture* Keel shaped forehead* Hypotelorism* Abnormalities of forebrainTurricephalyCoronal, sphenofrontal, frontoethmoid sutures* Cone shaped headOxycephalyMultiple* Tower skull* Undeveloped sinuses, shallow orbits, elevated intracranial pressure.Kleeblattschadcl deformity * Cloverleaf shaped skull* Very prominent temporal bones* Remaining cranium is constricted.* Hydrocephalus is a common complication.